Suprasellar aneurysms causes
1. Binasal hemianopia
2. Bitemporal hemianopia
3. Homonymous hemianopia
4. Congruous homonymous hemianopia

Correct answer: 2. Bitemporal hemianopia

Explanation: (B) Bitemporal hemianopia # Sagittal (central) lesions of the chiasma.These are characterized by bitemporal hemianopia and bitemporal hemianopic paralysis of pupillary reflexes.> Lateral chiasmal lesions: Salient features of such lesions are binasal hemianopia associated with binasal hemianopic paralysis of the pupillary reflexes.> Lesions of optic tract:These are characterized by incongruous homonymous hemianopia associated with contralateral hemianopic pupillary reaction (Wernicke's reaction).